Swan-neck deformity is -
1. Flexion of Metacarpophalangeal joint and extension at interphalangeal joint
2. Extension at Proximal interphalangeal joint and flexion at Distal interphalangeal joint
3. Flexion at proximal interphalangeal joint and extension at distal interphalangeal joint
4. Extension at Metacarpophalangeal joint and flexion at interphalangeal joint

Correct answer: 2. Extension at Proximal interphalangeal joint and flexion at Distal interphalangeal joint

Explanation: Important hand deformities of hand in RA

Boutonniere deformity: Flexion contracture of PIP joint and extension of the DIP joint.
Swan neck deformity: Hyperextension of PIP joint and flexion at DIP joint.
Z-deformity: Radial deviation of the wrist with ulnar deviation of fingers.
Hyperextension of 1st interphalangeal joint and flexion of MP joint.